Glucose transporter in neuron is -
1. GLUT-1
2. GLUT-2
3. GLUT-3
4. GLUT-4

Correct answer: 3. GLUT-3

Explanation: Ans. is 'c' i.e., GLUT-3* GLUT 1 transporter is present in the endothelial cells of Blood Brain Barrier* GLUT 3 transporter is present in neuron* Hence c is a better answer